The following enzyme is otherwise called TACE (TNF converting enzyme)
1. Matrix metalloproteinase
2. Serine proteinase
3. ADAM-17
4. Interstitial collagenase

Correct answer: 3. ADAM-17

Explanation: Ans. (c) ADAM-17(Ref: Immunology: Mucosal and Body Surface Defences, 4.8)ADAM metallopeptidase domain 17 (ADAM 17), also called TACE (tumor necrosis factor-a-converting enzyme), is a 70-kDa enzyme that belongs to the ADAM protein family of disintegrins and metalloproteases.